A middle aged person reported to Psychiatric OPD with the complaints of fear of leaving home, fear of travelling alone and fear of being in a crowd. He develops marked anxiety with palpitations and sweating if he is in these situations. He often avoids public transport to go his place of work. The most likely diagnosis is -
1. Generalised anxiety disorder
2. Schizophrenia
3. Personality disorder
4. Agoraphobia

Correct answer: 4. Agoraphobia

Explanation: Fear of leaving home, fear of travelling alone and fear of being in a crowd suggest the diagnosis of Agoraphobia.